Traction epiphysis is/are:
1. Head of humerus
2. Lesser tubercle of humerus
3. Deltoid tuberosity
4. Coracoid process

Correct answer: 2. Lesser tubercle of humerus

Explanation: Traction epiphysis are present at the ends of bones and develop due to traction by the attached muscles (and are therefore extracapsular), e.g.Greater (and lesser) tubercles in humerus and  greater (and lesser) trochanter in femur.
Pressure epiphysis are involved in weight transmission (and are intracapsular) for e.g. head of humerus and femur and condyles of humerus, femur, tibia etc.
Coracoid process in scapula is an example of atavistic epiphysis.
Deltoid tuberosity is not an epiphysis (it is present on the shaft/diaphysis).